Bamboo spine appearance is seen in -
1. Ankylosing spondylitis
2. Rheumatoid arthritis
3. Osteoarthritis
4. DISH

Correct answer: 1. Ankylosing spondylitis

Explanation: Ans. is 'a' i.e., Ankylosing spondylitis Radiological features of ankylosing spondylitis* Radiographic evidence of sacroiliac joint is the most consistent finding in ankylosing spondylitis and is crucial for diagnosis. The findings are -i) Sclerosis of the articulating surfaces of SI jointsii) Widening of the sacroiliac joint spaceiii) Bony ankylosis of the sacroiliac jointsiv) Calcification of the sacroiliac ligament and sacro-tuberous ligamentsv) Evidence of enthesopathy - calcification at the attachment of the muscles, tendons and ligaments, particularly around the pelvis and around the heel.* X-ray of lumbar spine may showi) Squaring of vertebrae : The normal anterior concavity of the vertebral body is lost because of calcification of the anterior longitudinal ligament.ii) Loss of the lumbar lordosis.iii) Bridging 'osteophytes' (syndesmophytes)iv) Bamboo spine appearance